Brilliantly translucent swelling in the neck region in a 2 years child. Diagnosis is
1. Lipoma
2. Teratoma
3. Cystic hygroma
4. Thyroglossal cyst

Correct answer: 3. Cystic hygroma

Explanation: C. i.e. (Cystic hygroma) (729 B & L 25th) (625-S. Das 5th)CYSTIC HYGROMA - swelling consists of aggregation of cysts which contain clear lymph** (multilocular).Each locule is lined by a single layer of endothelium that is why this swelling is a Brilliantly Translucent swelling* ' Sequestration of a portion of the jugular lymph sac** from the lymphatic system accounts for the appearance of these swelling* Benign multilobular, multinodular cystic masses lined by a endothelial cells (mosaic appearance)* Posterior triangle of the neck is commonest site * * ** Soft, fluctuation test is positive, impulse on coughing presents regional lyrnphnode are not enlarged* Excision is the treatment of choice** and sclerotherapy with picibanil (OK- 432)